Which of the following drug can cause coronary steal phenomenon?
1. Hydralazine
2. Glyceryl trinitrate
3. Disopyramide
4. Diltiazem

Correct answer: 1. Hydralazine

Explanation: Coronary steal phenomenon:* Caused by drugs which dilate small vessels only.* Atherosclerotic vessels are maximally dilated already, so further administration of vasodilators leads to more dilation of normal vessels rather than atherosclerotic one, blood supply to ischemic area is taken towards dilated small vessel - STEALING Coronary steal phenomenon is shown by: -H- HydralazineI- IsofluraneD- DipyridamoleE- Enflurane